All the features of peripheral neuritis in a patient with Hansen's disease EXCEPT -
1. Predominant sensory involvement
2. Decreased tendon reflexes
3. Mutilations
4. Peripheral nerve thickening

Correct answer: 2. Decreased tendon reflexes